Serological marker of infectivity of Hepatitis 'B' is -
1. HBsAg
2. HBeAg
3. IgM anti Hbc
4. HBcAg

Correct answer: 2. HBeAg

Explanation: HBeAg presence indicates high infectivity&indicator of active viral application REF:
ANATHANARAYANAN MICROBIOLOGY NINTH EDITION PAGE.547